Medial calcification is seen in
1. Atherosclerosis
2. Arteriolosclerosis
3. Monckebergs sclerosis
4. Dissecting aneurysm

Correct answer: 3. Monckebergs sclerosis

Explanation: Monckeberg medial sclerosis is characterized by the presence of calcific deposits in muscular arteries, typically in persons older than 50. The lesions do not encroach on the vessel lumen and usually are not clinically significant. ( Robbins Basic Pathology, 9 th edition, page 335)